DNA repair defect is associated
1. Xeroderma pigmentosum
2. Icthyosis
3. Angelman syndrome
4. DiGeorge's syndrome

Correct answer: 1. Xeroderma pigmentosum

Explanation: Robbins basic pathology 9th edition page no 197, The basis of this disorder is DNA repair such dna damage is prevented by nucleotide excision repair system, and an inherited loss of any one of these can give rise to xeroderma pigmentosum